Most common type of carcinoma of lung is
1. Small cell carcinoma
2. Adenocarcinoma
3. Squamous cell carcinoma
4. Large cell carcinoma

Correct answer: 2. Adenocarcinoma

Explanation: Lung tumors
In children 

Most common lung tumor is metastasis.
Most common benign tumor of the pediatric lung (including both infants and children) is inflammatory myofibroblastic tumor.
Most common benign lung tumor in infants are pleuropulmonary blastoma.
Most common primary malignant tumor of the pediatric lung is bronchial carcinoid.

Adults

Most common lung tumor is metastasis.
Most common benign tumor is pulmonary hamartoma.
Most common primary malignant tumor in
i. India - Squamous cell carcinoma.
ii. World - Adenocarcinoma.